A patient came to the casualty with acute bronchial asthma after treatment for glaucoma. The probable drug may be:
1. Timolol
2. Betaxolol
3. Latanoprost
4. Anticholinesterase

Correct answer: 1. Timolol

Explanation: Ans. (A) Timolol(Ref KDT 8th/e p167)Timolol is a non-selective beta blocker and can precipitate acute attacks of asthma in a susceptible individual via blockade of b2 receptors. Betaxolol is a cardioselective beta blocker and is less likely to cause this adverse effect.